Pseudo-aneurysm in drug abuser's seen in
1. Radial
2. Brachial
3. Femoral
4. All

Correct answer: 4. All

Explanation: Ans. is 'a' i.e. Radial, 'b' i.e. Brachial, 'c' i.e. Femoral